Hangman's fracture is
1. Subluxation of C5 over C6
2. Fracture dislocation of C2
3. Fracture dislocation of ankle joint
4. Fracture of odontoid

Correct answer: 2. Fracture dislocation of C2

Explanation: B Fracture dislocation of C2 Hangman's fracture is traumatic spondylolisthesis of axis (C2) vertebrae on C3Q due to fracture line passing through the neural arch (pedicle/ pars interarticularis)Q